Dose of radiation during whole body exposure that leads to haematological syndrome is:
1. 2 Gy
2. 10 Gy
3. 100 Gy
4. 200 Gy

Correct answer: 1. 2 Gy

Explanation: A i.e. 2 Gy Total (whole) body irradiation dose > 1 to 2.5 Gy predominatly leads to hematopoietic syndromeQ; dose 5 to 8 Gy predominantly leads to gastrointestinal syndromeQ and doses 20 to 50Gy predominantly leads to cardiovascular syndromeQ.